Side effect of salmeterol is ?
1. Tremor
2. Seizure
3. Hypertension
4. Hyperkalaemia

Correct answer: 1. Tremor

Explanation: Ans. is 'a' i.e., Tremor The most common side effects are muscle tremor and palpitation Hypokalemia Hyperglycemia Tolerance Throat irritation Ankle edema. Other side effects are anxiety, headache, muscle cramps, dry mouth, arrhythmia, flushing (due to vasodilatation), hypoxemia, MI, disturbance of sleep and behavior.